The maculopapular, copper coloured rash is characteristic of
1. Measles
2. Dengue
3. Rubella
4. Secondary syphilis

Correct answer: 4. Secondary syphilis

Explanation: This "primary lesion" always heals spontaneously, but 2-10 weeks later, the "secondary" lesions appear. These consist of a copper-colored or red maculopapular rash anywhere on the body, including the hands and feet, and moist, pale papules(condylomas) in the anogenital region, axillae, and mouth. The patient may also have syphilitic meningitis, chorioretinitis, hepatitis, nephritis (immune complex type), or periostitis. The secondary lesions also subside spontaneously. Bothprimary and secondary lesions are rich in spirochetes and are highly infectious. Contagious lesions may recur within 3-5 years after infection, but thereafter the individual is not infectious.Ref: Jawetz; 27th edition; Page no: 324